Distichiasis is
1. Increased number of lashes in the lower eyelid
2. Growth of eyelashes from Meibomian Orifices
3. Hyperpigmentation of eyelashes
4. Increased thickness of eyelashes

Correct answer: 2. Growth of eyelashes from Meibomian Orifices

Explanation: Answer- B. Growth of eyelashes from Meibomian OrificesDistichiasis is a rare disorder defined as the abnormal grorvth of lashes from the orifces of the meibomian glands on the posterior lamella of the tarsal plate.